Overgrowth of the bile duct in a localized region is
1. Hamartoma
2. Choristoma
3. Polyp
4. Malignant tumor

Correct answer: 1. Hamartoma

Explanation: The term hamartoma refers to an excessive, focal overgrowth of cells and tissues native to the organ in which it occurs. Although the cellular elements are mature and identical to those found in the remainder of the organ, they do not reproduce the normal architecture of the surrounding tissue. Von Meyenburg complexes are small bile duct hamartomas. Occasional von Meyenburg complexes are common in otherwise normal individuals. When they are diffuse they signal the underlying, more clinically important fibropolycystic disease. Reference: Robbins and Cotran Pathologic Basis of Disease; 9th edition; Chapter 18; Liver and Gallbladder